During abutment preparation for overdenture, which of the following is more preferable?
1. Short copings
2. Long copings
3. Bare root surface
4. None of the above

Correct answer: 3. Bare root surface

Explanation: A bare root surface can provide adequate long term service for both immediate and replacement overdentures and is the selection of choice.